A patient with ptosis presents with retraction of the ptotic eye lid on chewing. This represents -
1. Marcus Gunn Jaw winking sydrome
2. Third nerve misdirection syndrome
3. Abducent palsy
4. Occulomotor palsy

Correct answer: 1. Marcus Gunn Jaw winking sydrome

Explanation: Also known as Congenital synkinetic ptosis retraction of the ptotic eye lid on chewing with stimulation of ipsilateral pterygoid muscle. Ref : Ak khurana 6th edition pg no 379